Lipoprotein involved in transfer of cholesterol from tissues to Liver is?
1. Chylomicron
2. LDL
3. VLDL
4. HDL

Correct answer: 4. HDL

Explanation: ANSWER: (D) HDLREF: Lippincott's biochemistry 4th Ed page 236See previous question